True about nucleosome
1. Use only one type of histone protein
2. Each complex is separated from each other by non histone proteins
3. Regular repeating structure of DNA & histone proteins
4. Reflect small nucleus

Correct answer: 3. Regular repeating structure of DNA & histone proteins

Explanation: In biology, histones are highly alkaline proteins found in eukaryotic cell nuclei that package and order the DNA into structural units called nucleosomes. They are the chief protein components of chromatin, acting as spools around which DNA winds, and playing a role in gene regulation. Without histones, the unwound DNA in chromosomes would be very long (a length to width ratio of more than 10 million to 1 in human DNA). For example, each human diploid cell (containing 23 pairs of chromosomes) has about 1.8 meters of DNA, but wound on the histones it has about 90 micrometers (0.09 mm) of chromatin, which, when duplicated and condensed during mitosis, resulting in about 120 micrometers of chromosomes